Manifestations of vitamin C deficiency are – a) Pseudoparalysisb) Sabre tibiac) Epistaxisd) Craniotabese) Costochondral junction become domeshaped
1. a
2. bc
3. ac
4. b

Correct answer: 3. ac